Vinyl Chloride is associated with which Carcinoma?
1. Liver
2. Spleen
3. Lung
4. Prostrate

Correct answer: 1. Liver

Explanation: Ans. (a) Liver(Ref: Robbins 9th/pg 875; 8th/pg 856)Oral contraceptives have been implicated in the development of hepatic adenoma and, rarely, hepatocellular carcinoma and hepatic vein occlusion (Budd-Chiari syndrome).